which muscle of rotator cuff is called forgeten muscle ?
1. supraspinatus
2. infraspinatus
3. subscapularis
4. teres minor

Correct answer: 3. subscapularis

Explanation: subscpularis is called forregeten muscle ref : bd chaursia